Tetany is caused by which poisoning :
1. Oxalic acid
2. Carbolic acid
3. Sulphuric acid
4. Nitric acid

Correct answer: 1. Oxalic acid

Explanation: Oxalic acid combines with calcium and causes its withdrawal from them causing hypocalcemia.
In acute poisoning by oxalic acid, it produces hypocalcemia leading to muscle irritability, tetany & convulsions.